A six year old boy is scheduled for examination of the eye under anaesthesia. The father informed that for the past six months the child is developing progressive weakness of both legs. His elder sibling had died at the age of 14 years. Which drug would you definitely avoid during the anaesthetic management?
1. Succinylcholine
2. Thiopentone
3. Nitrous oxide
4. Vecuronium

Correct answer: 1. Succinylcholine

Explanation: Progressive weakness in both legs with positive history of sibling death prematurely (as occurs in Ducherme muscular dystrophy) suggest the diagnosis of muscular dystrophy. Succinylcholine is contraindicated in this situation.